Systematic desensitization is:
1. Passive avoidance
2. Active avoidance
3. Sudden exposure
4. Graded exposure

Correct answer: 4. Graded exposure

Explanation: Ans: D (Graded exposure) Ref: Kaplan & Sadock s Synopsis of Psychiatry. 10th editionExplanation:Systematic DesensitizationIt is a type of Behavior therapy' (which in turn is a type of Psychotherapy).It is based on the principle of "Respondent Conditioning".It was first elaborated by VVolpe.It is used to treat 'Phobias' (Specific and Social).It consists of three steps: 1. Hierarchy chart (where anxiety/fear provoking stimuli are identified and charted from lowest to highest level of potency in inducing the anxiety/ fear).2. Coping skills (learning to relax by various methods like - paced breathing exercises, Jacobson's progressive muscle relaxation, applied relaxation by meditation).3. Graded exposure (applying the relaxation techniques after exposing oneself to the anxiety/ fear provoking stimuli in graded manner, i.e., from weakest stimulus to strongest stimulus).Other Forms of Exposure Therapy1. Flooding-sudden exposure and making one to cope up at one go.2. Virtual Reality Exposure - useful for PTSD.3. ERP- Exposure and Response Prevention-Unlike other exposure therapies, here, the escape is not allowed completely and even in between the sessions. Used in OCD.Psychotherapyit is one of three forms of therapy (the other two are - chemical, i.e.. drugs and physical, ie., ECT, Psyehosurgery, VNS, rTMS).It involves patient-therapist co-operation and usually conducted in sessions.The following is an outline of psychotherapies practised worldwide.1. Supportive psychotherapy (often termed as counseling), is the most widely used method2. Cognitive therapy (for depression, anxiety disorders, eating disorders, sexual disorders)3. Behavior therapy (anxiety disorders like OCD. Childhood behavioral problems).4. Cognitive-Behavior therapy (CBT)- Highly useful and often an alternative to substance abuse (a special form called Motivation Enhancement Therapy used here), depression, anxiety disorders, eating disorders, sexual disorders.5. Dialectical- Behavior therapy- useful for BPD (Borderline personality disorder)6. Psychoanalytical/Psychodynamic therapy- not used as before, however useful in con vers ion/d i ssoc i at i v e disorde r s